Suspensory ligament of Lockwood encloses which pair of muscles
1. Inferior rectus and inferior oblique
2. Superior rectus and superior oblique
3. Medial rectus and lateral rectus
4. Inferior rectus and lateral rectus

Correct answer: 1. Inferior rectus and inferior oblique

Explanation: Suspensory ligament of Lockwood: A specialized lower part of the fascial sheath of the eyeball is the suspensory ligament, which supports the eyeball. This sling-like structure is made up of fascial sheath of the eyeball. It has contribution from these muscles : Inferior oblique & Inferior rectus. In an event of orbital floor fracture it protects drop down of eyeball .